Extracted teeth should be preserved in
1. Saline
2. Xylene
3. 10% formalin
4. 10% alcohol

Correct answer: 3. 10% formalin

Explanation: The teeth used for ground sections should not be allowed to dry out after extraction, because drying makes the hard tissues brittle and the enamel may chip off in the process of grinding. To avoid this, the extracted teeth are preserved in 10% formalin.